Which carries more weight in a court of law :
1. Dying declaration
2. Dying deposition
3. Both carry the same weight
4. Both are not significant

Correct answer: 2. Dying deposition

Explanation: B i.e. Dying deposition